Salivary duct calculi
1. Produce pain on eating
2. Are commonest in the parotid ducts
3. Are common cause of acute parotitis
4. Are associated with hypercaleaemic states

Correct answer: 1. Produce pain on eating